Which of the following is most susceptible to local anaesthetics? (OR) Sensitivity to hot in chronic pulpitis indicates stimulation of following fibers (OR) Radiating pain from pulp transmitted by (OR) Sensitivity to local anaesthetics is greater in:
1. Aα fibres
2. Aβ fibres
3. Aδ fibres
4. C fibres

Correct answer: 4. C fibres